A 40 year old man has chronic cough with fever forseveral months. The chest radiograph reveals adiffuse reticulondular pattern. Microscopically ontransbronchial biopsy there are focal areas ofinflammation containing epitheloid cell granuloma,Langhans giant cells, and lymphocytes. Thesefindings are typical for which of the following type ofhypersensitivity immunologic responses:
1. Type I
2. Type II
3. Type III
4. Type IV

Correct answer: 4. Type IV

Explanation: Type IV